Bone marrow stem cells differ from differentiated progenitor stem cells in what respect?
1. Provide differentiated terminal cells
2. Reconstitution of Bone marrow
3. Formation of the ovum
4. Act as a repair system for the body

Correct answer: 2. Reconstitution of Bone marrow